True about Pertussis is/are -a) Incubation period is 7-14 daysb) Main source of infection is chronic carriersc) Can affect any aged) Secondary attack rate in unimmunised persons is 90%e) More common in summers
1. abc
2. acd
3. bc
4. bde

Correct answer: 2. acd